Hormone replacement therapy is contraindicated in-
1. Atherosclerosis
2. Thromboembolism
3. Osteoporosis
4. Gall stones

Correct answer: 2. Thromboembolism

Explanation: Ans. is 'b' i.e., Thromboembolism Contraincations of hormone replacement therapyo Pregnancy and breast feeding,o Undiagnose vaginal bleeding.o Recent angina or MI.o Venous thromboembolic diseaio Breast cancer,o Active liver disease,o Endometrial cancer,o Uncontrolled hypertension.